Commonest presentation of sickle cell anaemia is
1. Priapism
2. Bone pain
3. Fever
4. Splenomegaly

Correct answer: 2. Bone pain

Explanation: Sickle cell anemis causes Vaso-occlusive crisis : This means plugging of small vessels in the bone produces severe bone pain. This affects areas of active marrow: the hands and feets in children(dactylitis) or femora, humeri, ribs, pelvis and vertebrae in adults. Reference : Davidson, 23rd Edition, page no : 952.